A patient has prosthetic valve replacement and he develops endocarditis 8 months later. Most probable organism responsible is -
1. Stahylococcus aureus
2. Streptococcus viridans
3. Staphylococcus epidermidis
4. HACEK

Correct answer: 3. Staphylococcus epidermidis